Shivering is observed in the early part of postoperative period is due to
1. Chloroform
2. Halothane
3. Truchloroethylene
4. Ether

Correct answer: 2. Halothane

Explanation: Halothane Post operative shivering and hypothermia is maximum with Halothane Pethidine is used for treatment of this condition Refer Ajay yadav 2/e p 61